On mutation, which of the following may give rise to hereditary glaucoma.
1. Optineurin
2. Ephrins
3. RBA8
4. Huntingtin

Correct answer: 1. Optineurin

Explanation: The first gene found for open angle glaucoma was, GLC1A or myocilin (MYOC). The second gene discovered was optineurin. WDR 36 gene is also involved.